Cholestasis of pregnancy is characterized by :a) Commonly occur in 1st trimester of pregnancyb) Increased maternal mortalityc) Increased perinatal mortalityd) Recurrence in subsequent pregnancye) Generalised pruritis
1. cde
2. acd
3. bde
4. ade

Correct answer: 1. cde